True about abdominal compartment syndrome
1. Cardiac output decreased
2. Urine output increased
3. Pulmonary capillary wedge pressure decreased
4. Venous return increased

Correct answer: 1. Cardiac output decreased

Explanation: Abdominal Compartment syndrome: Increased intra-abdominal pressure. Increased peripheral resistance, intrapleural pressure, CVP, PCWP. Hypoxia, hypercapnia, acidosis. Decreased Venous return, Cardiac output. Oliguria, respiratory failure, Cardiac arrest. Ref: Ref : SRB's 4thE pg:154